Tracheostomy is not indicated in:
1. Emphysema
2. Bronchiectosis
3. Atelectasis
4. Pneumothorax

Correct answer: 4. Pneumothorax